Which is associated with vasculitis of medium size vessels -
1. Temporal areritis
2. Wegners granulomatosis
3. Polyarteritis nodosa
4. Tuberous sclerosis

Correct answer: 3. Polyarteritis nodosa

Explanation: Ans. is 'c' i.e., Polyarteritis nodosa Vasculitiso Inflammation of vessel wall is called vasculitis.o Of these systemic necrotizing vasculitis, several types affect the aorta and medium sized vessels, but most affect small vessels, such as arterioles, venules, and capillaries ->> small vessel vasculitis.Vasculitis with granulomatous inflammationVasculitis with necrotizing inflammationo Giant cell arteritiso Polyarteritis nodosao Takayasu's diseaseo Churg strauss syndromeo Wegner's granulomatosiso Wegner's granulomatosiso Churg strauss syndromeo Microscopic polvangitis